Which of the following enzyme does not affect plasma cholinesterase activity
1. Neostigmine
2. Pyridostigmine
3. Edrophonium
4. All

Correct answer: 3. Edrophonium

Explanation: Plasma cholinesterase activity can be reduced by a number of endogenous and exogenous causes. It is also reduced by anticholinesterase- neostigmine +pyridostigmine but not by edrophonium. Reduced butyryl cholinesterase activity is seen in Liver disease Pregnancy Malnutrition Old age Drugs like - oral contraceptives, monoamine oxidase inhibitors, echothiophate, cytotoxic drugs, neoplastic disease, anticholinesterase drugs and metoclopramide. Butyrylcholinesterase is the enzyme which degrades succinyl choline. It is synthesized in the liver and found in the plasma. Decreased butyrylcholinesterase is not a major concern in clinical practice because even in a large decrease in the enzyme activity will produce an only slight increase in duration of neuromuscular blockade.